All of the following are efective topically exxcept-
1. Procaine
2. Cocaine
3. Lidocaine
4. Amethocaine

Correct answer: 1. Procaine

Explanation: Procaine is not effective topically because of poor penetration